Bulkeley membrane is seen in
1. Tinea
2. Pityriasis
3. Psoriasis
4. Pemphigus

Correct answer: 3. Psoriasis

Explanation: Burkeleys membrane is seen while demonstrating Auspitz sign in chronic plaque psoriasis On grattage test - loosely adherent silvery white scales appear- When the scales are completely scraped off the stratum mucosum (basement membrane) is exposed and is seen as a moist red surface (membrane of Burkeley) On further scraping -dilated capillaries at the tip of elongated dermal papillae are torn, leading to multiple bleeding points . This is a characteristic feature of psoriasis and is known as Auspitz sign. It is attributed to parakeratosis, suprapapillary thinning of the stratum malphighii, elongation of dermal papillae and dilatation and tortuosity of the papillary capillaries. IADVL textbook of dermatology page 750